hCG is secreted by?
1. Syncytiotrophoblast
2. Yolk sac
3. Cytotrophoblast
4. Placenta

Correct answer: 1. Syncytiotrophoblast

Explanation: hCG is a glycoprotein that is produced by the syncytiotrophoblast. It has Alpha and Beta subunits hCG-aHCG is identical to theasubunit of LH, FSH, and TSH. hCG is primarily luteinizing and luteotropic and has little FSH activity. It can be detected in the blood as early as 6 days after conception. It appears to act on the same receptor as LH.